All are indications for splenectomy, except:
1. Hereditary spherocytosis
2. Hairy cell leukemia
3. ITP
4. Chediakhigashi syndrome

Correct answer: 4. Chediakhigashi syndrome

Explanation: Chediak-Higashi syndrome is a condition that affects many parts of the body, particularly the immune system. Chediak-Higashi syndrome is also characterized by a condition called oculocutaneous albinism, which causes abnormally light coloring (pigmentation) of the skin, hair, and eyes.spleenectomy is not done in this condition Ref Davidson edition23rd pg832